Mittelschimerz pain is -
1. Pain during onset of menstrual cycle
2. Pain during the usual time of ovulation in menstrual cycle
3. Pain during the or at the end of menstrual cycle
4. Pain during menstrual bleeding

Correct answer: 2. Pain during the usual time of ovulation in menstrual cycle

Explanation: Ans. is 'b' i.e., Pain during the usual time of ovulation in menstrual cycle o Has been explained in previous sessions.